Bitemporal diameter of fetus is:
1. 10.5
2. 8
3. 11 5
4. 9.5

Correct answer: 2. 8

Explanation: 8